What is the approximate number of base pairs associated with a single nucleosome?
1. 146
2. 292
3. 73
4. 1460

Correct answer: 1. 146

Explanation: Nucleosomes Fundamental unit of DNA organisation. It is Histones complexed to DNA. Two molecules of each of H2A, H2B, H3,and H4 (Core histones) forms a histone octamer. 1 and 3/4 turns (~146 bp) DNA double helix is wound around the histone octamer in a left-handed fashion.